Central anticholinergics are used in treatment of all except-
1. Akathisia
2. Parkinsonism
3. Acute dystonia
4. Neuroleptic malignant syndrome

Correct answer: 4. Neuroleptic malignant syndrome

Explanation: Ans. is 'd' i.e., Neuroleptic malignant syndrome o Central anticholinergics are ineffective in neuroleptic malignant syndrome. o Central anticholinergics are not used in tardive dyskinesia and neuroleptic malignant syndrome.